Which of the following is the most common fungal Infection in immunocompetent patient?
1. Candida
2. Aspergillus
3. Cryptococcus
4. Penicillium

Correct answer: 1. Candida

Explanation: 1. Candida is the most common fungal infection in immunocompetent person as well as opportunistic infection in immunocompromised person. 2. Predisposing factors that are associated with increased risk of infection with Candida include - Physiological state: Extremes of age (infancy, old age), pregnancy. Low immunity: Patients on steroid or immunosuppressive drugs, post transplantation, malignancy, HIV. Patients on broad spectrum antibiotics that suppress the normal flora Diabetes mellitus, febrile neutropenia and zinc or iron deficiency. Aspergillus,Cryptococcus,Penicillium are also opportunistic infections but less common than candida